25 yr old male presents with a diffuse thyroid swelling Biopsy shows intense lymphocytic infiltration along with Hurthle cell change TSH is increased Diagnosis
1. Grave's Disease
2. Hashimoto's thyroiditis
3. Follicular carcinoma
4. medullary thyroid carcinoma

Correct answer: 2. Hashimoto's thyroiditis

Explanation: Hashimoto's thyroiditis is the most common type of thyroiditis It is also known as lymphocytic thyroiditis due to an intense infiltration of the gland ref : bailey and love 27th ed